Radial Band sign on MRI Brain is seen in?
1. Multiple sclerosis
2. Tuberous Sclerosis
3. Multisystem Atrophy type C
4. Progressive Supranuclear palsy

Correct answer: 2. Tuberous Sclerosis

Explanation: *Radial bands are specific for the diagnosis of tuberous sclerosis and are usually best seen on T2 / FLAIR as linear regions of high signal extending form the ventricle to the cortex. *Radial band sign is indicative of abnormal migration of dysplastic stem cells in patients with tuberous sclerosis complex. MRI axial FLAIR image showing radial bands (black vertical down arrow), sub-ependymal nodule (thin black arrow) and cortical tuber (white arrow) in a patient with TS. *Dawson Fingers-Multiple Sclerosis *Hot cross Bun sign-multisystem atrophy type c *Humming bird/penguin sign/mickey mouse sign -progressive supranuclear palsy